Regarding Rett's syndrome false is
1. Microcephaly at birth
2. X - linked
3. Poor social interaction
4. Stereotypical hand movements

Correct answer: 1. Microcephaly at birth

Explanation: Head circumference is normal at birth. It starts to regress later.